First germ layer to be formed is:
1. Ectoderm
2. Endoderm
3. Mesoderm
4. All of them develop simultaneously

Correct answer: 2. Endoderm

Explanation: Ans. B EndodermRef: Netter's Atlas of Embryology, 2012 ed. pg. 47* Epiblast is the source of all three germ layers and endoderm is the first germ layer to be formed.